Radical hysterectomy is done in which one of the following :
1. Carcinoma in situ
2. Endocervix cancer stage IA
3. Microinvasive carcinoma of cervix
4. Carcinoma cervix stage IB

Correct answer: 4. Carcinoma cervix stage IB

Explanation: Carcinoma cervix stage IB